Centrilobular necrosis of liver may be seen with?
1. Phosphorus
2. Arsenic
3. CCI4
4. Ethanol

Correct answer: 3. CCI4

Explanation: Ans. is 'c' i.e., CC14